Which of the following physical signs is seen in a patient with severe aortic stenosis:
1. Opening snap
2. Diastolic rumble
3. Holosystolic murmur
4. Delayed peak of systolic murmur

Correct answer: 4. Delayed peak of systolic murmur

Explanation: Answer is D (Delayed peak of systolic murmur) The ejection systolic murmur starts after the ejection click reaches a peak in midsystole. With increasing severity of aortic stenosis the peak gets delayed so that the maximum intensity of the murmur is closer to the end rather than being midsystolic.